Which muscle of larynx is not supplied by recurrent laryngeal nerve -
1. Vocalis
2. Thyroarytenoid
3. Cricothyroid
4. Interarytenoid

Correct answer: 3. Cricothyroid

Explanation: Ans. is 'c' i.e., Cricothyroid o All intrinsic muscles are supplied by the reccurrent laryngeal nerve except cricothyroid which is supplied by the external laryngeal nerve.Nerve supply of larynxo The main cranial nerve innervating the larynx is the vagus nerve via its branches; superior laryngeal nerve (SLN) and recurrent laryngeal nerve (RLN).Sensory supply of larynxo Above the level of vocal cords, larynx is supplied by internal laryngeal nerve, a branch of superior laryngeal nerve.o Below the vocal cord, larynx is supplied by recurrent laryngeal nerve.Motor supply of larynxo All the intrinsic muscles of larynx are supplied by recurrent laryngeal nerve except for cricothyroid muscle.o Cricothyroid is supplied by external laryngeal nerve, a branch of superior laryngeal nerve.